Which congenital heart disease is associated with pre excitation ?
1. Atrial Septal Defect
2. Bicuspid Aortic Valve
3. Ebsteins Anomaly
4. Patent Ductus Arteriosus

Correct answer: 3. Ebsteins Anomaly

Explanation: ebsteins anomaly is a congenital heart condition which is associated with pre excitation Ebstein anomaly is a rare heart defect in which the tricuspid valve -- the valve between the upper right chamber (right atrium) and the lower right chamber (right ventricle) of the heart -- doesn't work properly. As a result, blood leaks back through the valve and into the right atrium. Ref Harrison 20th edition pg 1553